Treatment of appendicular carcinoma 3cmx2 cm in size in 24-year-old male?
1. Right hemicolectomy
2. Appendicectomy
3. Cecal resection
4. Radiotherapy

Correct answer: 1. Right hemicolectomy

Explanation: Ans. (a) Right hemicolectomyRef: Sabiston 20th edition, page 1308* Appendix adenocarcinoma is treated same like cecal carcinoma* Right hemicolectomy with lymphadenectomy is the treatment of choice.* FOLFOX chemotherapy is used postoperative.